Which of the following nerves are affected after Spinal anaesthetic block?
1. Motor and sensory nerve only
2. Sensory and autonomic nerve only
3. Sensory nerves only
4. Sensory, autonomic, and motor nerves

Correct answer: 4. Sensory, autonomic, and motor nerves

Explanation: Ans. d (Sensory, autonomic and motor nerves) (Ref: Synopsis of Anaesthesia by Lee, 12th edition; p. 690).As a general rule of thumb, the greater the diameter of the nerve fibre, the greater the concentration of LA required to produce conduction blockade. Small unmyelinated fibres are more vunerable to blockade than large myelinated fibres.# Sequence of nerve blockade by LAAutonomic -Sensory - Motor# Sequence of recover from LAMotor -Sensory -Autonomic# Sequence of sensory fibers blockade by LATemperature -Pain -Touch -Deep pressure -Proprioception